All occurs in botulism except
1. Diplopia
2. Diarrhoea
3. Dysphagia
4. Dysarthria

Correct answer: 2. Diarrhoea

Explanation: The onset of botulism is marked with diplopia, dysphagia and dysarthria due to cranial nerve involvement. Reference: Textbook of Microbiology; Anathanarayan and paniker's; 10th edition; Page no: 269